Cause of sudden loss of vision in a diabetic is due to:
1. Neovascular glaucoma
2. Central retinal artery occlusion
3. Vitreous hemorrhage
4. None of the above

Correct answer: 3. Vitreous hemorrhage

Explanation: Commonest cause of sudden loss of vision in a diabetic is vitreous hemorrhage Slow loss of vision in a diabetic is due to Cystoid macular edema Neovascular glaucoma